Indications for cesarean hysterectomy are all except:
1. Placenta accreta
2. Couvelaire uterus
3. Atonic uterus with uncontrolled PPH
4. Rupture uterus

Correct answer: 2. Couvelaire uterus

Explanation: Cesarean hysterectomy refers to an operation where cesarean section is followed by removal of the uterus.
Peripartum hysterectomy is the surgical removal of the uterus either at the time of cesarean delivery or in the immediate postpartum period (even following vaginal delivery).
Some indications for peripartum hysterectomy

Uterine atony
Abnormal placentation

– Bleeding
– Accrete syndromes

Uterine extension
Uterine rupture
Cervical laceration
Postpartum uterine infection
Leiomyoma
Invasive cervical cancer
Ovarian neoplasia

M/C cause of cesarean/peripartum hysterectomy is PPH.